Not a site of hematpoiesis in fetus ?
1. Kidney
2. Liver
3. Spleen
4. Yolk sac

Correct answer: 1. Kidney

Explanation: Ans. is 'a' i.e., Kidney